On autopsy, fine froth was found in the resp. tract, nose and mouth. Likely cause of death :
1. Drowning
2. Hanging
3. Strangulation
4. Tooth paste poisoning

Correct answer: 1. Drowning

Explanation: A i.e. Drowning